All of the following structures passes through deep inguinal ring, EXCEPT:
1. Spermatic cord
2. Internal spermatic fascia
3. Round ligament
4. Ilio inguinal nerve

Correct answer: 4. Ilio inguinal nerve

Explanation: Deep inguinal ring: The deep (internal) inguinal ring is the beginning of the inguinal canal and is at a point midway between the anterior superior iliac spine and the pubic symphysis. It is just above the inguinal ligament and immediately lateral to the inferior epigastric vessels. It is the beginning of the tubular evagination of transversalis fascia that forms one of the coverings (the internal spermatic fascia) of the spermatic cord in men or the round ligament of the uterus in women. Ref: Gray's Basic Anatomy By Richard Drake, A. Wayne Vogl, Adam W. M. Mitchell, 2012, Page 144.